A female patient presents with diffuse alopecia. There is no other significant past or present complain except that she had suffered from typhoid fever 4 months back. What would be the most probable diagnosis is:
1. Androgenetic alopecia
2. Telogen effluvium
3. Anagen effluvium
4. Alopecia areata

Correct answer: 2. Telogen effluvium

Explanation: Ans. B. Telogen effluviumAnagen Effluvium - hair loss during anagen - the onset may be rapid (within 2-4 weeks of the cause). Hair loss may be severe. Causes include: - Chemotherapy drugs (antimitotic agents), Radiotherapy, Malnutrition, Seborrheic dermatitis, Oral contraceptives, Vitamin A poisoning, Iron deficiency, Chronic infections and some drugs.Telogen Effluvium - relating to a specific form of diffuse alopecia - eviction of hair shafts that have prematurely entered the telogen phase. Excessive loss of hair can occur. Telogen Effluvium tends to become apparent 6-12 weeks following the cause. Such a hair loss can result in 1-2cm stubble in extreme cases within weeks. Causes include: Pyrexia (body temperature reaching 103.5degC+), Childbirth (rare), severe infection (especially toxemia), major surgery, protein deficiency due to unsupervised crash diets, drugs including beta blockers, anti-depressants, severe psychological stress.